About osteogenesis imperfecta: all are true except:
1. Diaphyseal fractures
2. Metaphyseal fractures
3. Classified by sillence classification
4. Sclera' and dental abnormalities

Correct answer: 2. Metaphyseal fractures

Explanation: Ans. Metaphyseal fractures